All of the following are true of thalassemia major, EXCEPT:
1. Splenomegaly
2. Target cells on peripheral smear
3. Microcytic hypochromic anemia
4. Increased osmotic fragility

Correct answer: 4. Increased osmotic fragility

Explanation: - In thalassemia- decreased osmotic fragility is seen - Increased osmotic fragility is a feature of hereditary spherocytosis - Remaining all features given in the options are seen in thalassemia